Ifosfamide belong to which group of anticancer drugs
1. Alkylating agents
2. Antimetabolites
3. Metotic inhibitors
4. Topoisomerase inhibitors

Correct answer: 1. Alkylating agents

Explanation: Ifosfamide is an alkylating agent closely related to cyclophosphamide. Used in testicular tumours, lymphoma, soft tissue tumour.Katzung 12e pg: 953